Parkinsonism like features are evident in surviving patients of which poisoning ?
1. CO
2. CO2
3. H2S
4. N2O

Correct answer: 1. CO

Explanation: Ans. is 'a' i.e., CO In persons surviving after severe Carbon monoxide exposure and in delayed deaths from carbon monoxide poisoning bilateral symmetrical necrosis and cavitation of the basal ganglia in the brain, especially the putamen and globus pallidus, is the most characteristic lesion. This is similar to the degenerative findings seen in parkinsonism and thus patient with CO exposure may develop features of parkinsonism